Which of the following are complications of Periapical
surgery
1. Paresthesia
2. Ecchymoses
3. Stitch abscess
4. All of the above

Correct answer: 4. All of the above